In 34 weeks gestation the weight of baby was 3kg.The child shows following features may indicate wof associated condition
1. Anemia
2. Diabetes
3. APH
4. None of the above

Correct answer: 2. Diabetes

Explanation: Diabetic mother and macrosomia: - Macrosomia defined as excessively large baby (>4kg) Causes are: - * Obesity * Poorly controlled maternal diabetes and gestational diabetes * Postmaturity * Multiparity * Male fetus. In diabetes: Excessive glycemia produce macrosomia due to insulin and insulin like growth factors. Indication of cesarian section:- * >4.5 kg in case of diabetic mother * >5 kg in case of non diabetic mother Ref:- Williams obstetrics 25th Edition; Pg num:- 19/30